Koenen's periungual fibromas are seen in > 50% of cases with –
1. Tuberous sclerosis
2. Sturge weber syndrome
3. Alaxia telangiectasia
4. Neurofibroatosis

Correct answer: 1. Tuberous sclerosis

Explanation: Periungual fibromas (koenen's tumor) is seen in 20% of patients of tuberous sclerosis.